A 45 year old patient chronic alcoholic, who was regular treatment for diabetes, died from acute exacerbation of chronic pancreatitis. As per Medical certification of cause of death, the column part 1 (a) of death certificate is filled with________
1. Acute exacerbation of Chronic Pancreatitis
2. Chronic Pancreatitis
3. Chronic alcoholism
4. Diabetes Mellitus

Correct answer: 1. Acute exacerbation of Chronic Pancreatitis

Explanation: According to 'registration of birth & death act' 1969 every birth / still birth / death to be registered with the covered state / UT within 21 days. Medical certification cause of death Part I Acute exacerbation of Chronic Pancreatitis Chronic Pancreatitis Chronic alcoholism Part II Diabetes Mellitus